All of the following take part in male genital tract development except
1. SRY
2. SOX-9
3. FGF-9
4. WNT-4

Correct answer: 4. WNT-4

Explanation: Ans. is d, i.e. WNT-4Ref: Langman Embryology 12th/ed, p46-247Genes for male developmentSRY geneMaster Gene for testis developmentSOX 9SRY and SOX 9 induce testis to form FGF-9 (chemotactic factor). FGF-9 causes tubules from mesonepric duct to penetrate gonadal ridgeSF1 (steroidogenic factor)It stimulates differentiation of sertoli or leydig cellsWNT-4 is ovary determining gene. This gene upregulates DAXI which inhibits the function of SOX 9 in females.